Sympathetic ophthalmitis is due to
1. Blunt trauma
2. Penetrating trauma
3. Chemical injury
4. Retained intra ocular Iron foreign body

Correct answer: 2. Penetrating trauma

Explanation: Sympathetic Ophthalmitis* Bilateral granulomatous panuveitis after penetrating trauma with prolapsed of uvea* Injured eye - exciting eye; normal fellow- sympathizing eye* Causes: penetrating injury, intraocular surgeries, cyclophotocoagulation, cyclocryotherapy* Site of injury: involving CB, iris and lens capsule* Pathogenesis: Autoimmunity against uveal pigments * Dalen Fuchs Nodules - granulomas between Bruchs and RPE* Earliest Symptom: Loss of accommodation* Earliest Sign: Retrolental flare and cells, KPs at the back of cornea* Enucleation of the injured eye within 10 days only in eyes with a hopeless visual prognosis* Treatment: Topical and systemic steroids